Tinea Nigra is caused by
1. Hortaea werneckii
2. Piedrae hortae
3. T. rubrum
4. Microsporum

Correct answer: 1. Hortaea werneckii

Explanation: Tinea nigra is characterised by painless, black, non scaly patches over palms & sole, caused by Hortaea werneckii.